Which of the following is most sensitive and specific screening test for carcinoma of breast:
1. FNAC
2. Mammogram
3. USG
4. Self Examination

Correct answer: 2. Mammogram

Explanation: Ans. B: Mammogram Mammography is the process of using low-dose amplitude-X-rays (usually around 0.7 mSv) to examine the human breast and is used as a diagnostic and a screening tool. The goal of mammography is the early detection of breast cancer, typically through detection of characteristic masses and/or microcalcifications. Mammography is believed to reduce mortality from breast cancer. No other imaging technique has been shown to reduce risk, but remaining aware of breast changes and physician examination are considered essential parts of regular breast care